All of the following are true about diploic vein except -
1. Lined by single layer of endothelium supported by elastic tissue
2. Present in cranial bones
3. Valveless / thin walled
4. Develop by 8th week of IUL

Correct answer: 4. Develop by 8th week of IUL

Explanation: The skull is unilamellar at birth with out any diploe and diploic veins which start to develop at around 2 years after birth.


Characteristic features of the diploic vein are:-


Absent at birth starts appearing around 2 years of age, appears at 4th year, and maximally differentiated by the 35th year when these are quite prominent radiologically.
Present in the diploe of the cranial vault. The major diploic veins are 1) Frontal, 2) Occipital, 3) Anterior and posterior temporal (parietal).
Wall is very thin consisting of endothelium supported by some elastic tissue.
Are valveless, as are other intracranial veins.